Wof is a non-ergotamine dopamine agonist that shows agonism at D2,D3 and D4 receptors
1. Pergolide
2. Benserazide
3. Ropinirole
4. Bromocriptine

Correct answer: 3. Ropinirole

Explanation: Ropinirole and Pramipexole :- These are two nonergoline, selective D2/D3 receptor agonists with negligible affinity for D1 and nondopaminergic receptors. Pramipexole has relatively greater affinity for D3 receptors. Pharmacokinetics:- It is rapidly absorbed orally, 40% plasma protein bound, extensively metabolized, mainly by hepatic CYP1A2, to inactive metabolites, and eliminated with a terminal t 1/2 of 6 hrs. It is thus longer acting than levodopa, useful in the management of motor fluctuations and reducing frequency of on-off effect. Side-effects:- nausea, dizziness, halluci nations, and postural hypotension. Episodes of day time sleep have been noted with ropinirole as well as pramipexole. The higher incidence of hallucinations and sleepiness may disour their use in the elderly. Ref:- kd tripathi; pg num:-430,431